Of the following which is the best projection to study the fracture of zygomatic arch:
1. Lateral oblique view
2. PA Caldwell view
3. Submentovertex view
4. Lateral cephalometric view

Correct answer: 3. Submentovertex view